Minimum score of GCS is:
1. 0
2. 1
3. 2
4. 3

Correct answer: 4. 3

Explanation: Ans: d (3) Ref: Bailey & Love, 24th ed,p. 601Minimum score of Glasgow coma scale is 3 and the maximum score is 15Eye opening:Verbal response:Best motor response:Spontaneous-4To speech - 3To pain - 2Nil-1Oriented - 5Confused conversation - 4Inappropriate words - 3Incomprehensible sounds -2Nil-1Obeys - 6Localizes-5Withdraws-4Abnormal flexion - 3Extension response - 2Nil-1Maximum score: 15Minimum score: 3Note:Best prognostic value in head injury is Glasgow coma scale (AIPGMEE 2007)BRIDGECarrier status for apolipoprotein E4 allele is considered to be a poor prognostic factor i n head injury